Total iron requirement during pregnancy is?
1. 500 mg
2. 750 mg
3. 1000 mg
4. 1500 mg

Correct answer: 3. 1000 mg

Explanation: ANSWER: (C) 1000 mgREF: Dutta 6th ed p. 55Total iron requirement during pregnancy is 1000 mg, this requirement is mostly limited to last 12 weeks.In second half of pregnancy daily requirement of iron is around 6-7 mg